A 4-year-old child with severe wasting and voracious appetite without pedal edema:
1. Kwashiorkor
2. Marasmus
3. Both
4. None

Correct answer: 2. Marasmus

Explanation: b. Marasmus(Ref: Nelson's 20/e p 295-306> Ghai 8/e p 96-107)Clinical findingMarasmusEdemaAbsentActivityActiveAppetiteGood, VoraciousLiver enlargementAbsentMortalityLess than KwashiorkorRecoveryRecover earlySkin & hair changesLess common